Impaired Glucose intolerance is caused by deficiency of
1. Chromium
2. Selenium
3. Copper
4. Cobalt

Correct answer: 1. Chromium

Explanation: Ans. (a) ChromiumRef: Harrisons, 19th ed. pg. 96e-9* A deficiency of chromium can cause impaired glucose tolerance.* Physiologically, chromium potentiates the action of insulin in patients with impaired glucose tolerance, presumably by increasing insulin receptor-mediated signaling.* Rich food sources of chromium include yeast, meat, and grain products.* Note:# Deficiency of Selenium: Can cause cardiomyopathy (Keshan disease)# Selenium toxicity: Can cause selenosis (Kashinbeck disease)